Boys over 16years who are difficult to be handled in a certified school are sent to ----- for training and reformation for 3years
1. Orphanage
2. Foster home
3. Brostal
4. Remand home

Correct answer: 3. Brostal

Explanation: Boys over 16 years who are too difficult to be handled in a certified school or have misbehaved there, are sent to a Borstal. The institution falls into a category between a certified school and an adult prison.A Borstal sentence is usually for three years.Park 23e pg: 589